Androgen insensitivity syndrome true is :
1. Phenotype may be completely female
2. Predominantly ovarian component in gonads
3. Always in female
4. Testes formed abnormlly and receptors are normal

Correct answer: 1. Phenotype may be completely female

Explanation: Phenotype may be completely female